True about delirium tremens -a) Clouding of consciousness b) Coarse tremorsc) Chronic delirious behaviour d) Hallucinatione) Autonomic dysfunction
1. abcd
2. bcde
3. abde
4. ade

Correct answer: 3. abde

Explanation: Delerium tremens :- clouding of consciousness, disorientation, poor attention span & distractability, visual & auditory hallucinations, illusions, marked autonomic disturbance (i.e., sweating, tachycardia, hypertension), coarse tremor, insomnia, psychomotor agitation, ataxia, and anxiet
About option c

Delirium is an acute organic condition (not chronic).